Site of maximum absortion of Iron
1. Duodenum
2. Jejunum
3. Ileum
4. Colon

Correct answer: 1. Duodenum

Explanation: Mnemonic
Iron - Roman number One 
So maximum absorption in first part of small intestine. i.e: Duodenum.